Deficiency of C1 inhibitor can produce
1. Hereditary angioneurotic edema
2. SLE
3. No disease
4. Pyogenic infections

Correct answer: 1. Hereditary angioneurotic edema

Explanation: C3 def can lead to recurrent pyogenic infections C1 inhibitor deficiency can lead to hereditary angioneurotic edema Ref: Textbook of Microbiology Baveja 5th ed Pg 125